Drug of choice for rapid cycling MDP is
1. Lithium
2. Carbamazepine
3. Sodium valporate
4. Haloperidol

Correct answer: 3. Sodium valporate

Explanation: C i.e. Sodium Valproate Rapid Cycling MDP - The patient must have at least 4 episodes within 12 months of mood disturbance (that meet criteria of major depressive, manic, hypomanic or mixed episode). - It is usually due to use of conventional antidepressant especially tricyclic & presence of hypothyroidism. So antidepressants are better avoided but antipsychotics may be used.